Keratoconus is associated with all except –
1. Down's syndrome
2. Ehlers–Danlo's syndrome
3. Marfan's syndrome
4. Usher's syndrome

Correct answer: 4. Usher's syndrome

Explanation: Systemic conditions associated with keratoconus are a marfan syndrome, osteogenesis- imperfecta, EDS, Down's syndrome, MVP, atophy (asthma, eczema, atopic keratoconjunctivitis, hay fever).